After treatment of ectopic preg with methotrexate, HCG levels checked on_____
1. Day 0, day 4
2. Day 4, day7
3. Day 1 and 4
4. Day 1 and 7

Correct answer: 2. Day 4, day7

Explanation: Ans. B. Day 4, day7.# Inj. MTX 50 mg/m2 of body surface area without leucovorin. Beta HCG should be measure on D4 and D7.# Methotrexate can be used for primary treatment of ectopic pregnancy, treatment of persistent ectopic following evacuation. Beta-hCG level is checked every alternate day until beta-hCG level is decreased to 15 percent in 2 consecutive days.